Type 2 moderate ECC refers to:
1. Isolated carious lesions involving any tooth.
2. Labio lingual extension of caries involving incisors and/or molars.
3. Isolated carious lesion involving incisors and/or molars.
4. Tooth surfaces considered as immune to decay, also involves

Correct answer: 2. Labio lingual extension of caries involving incisors and/or molars.

Explanation: Option c is mild.
Option b is moderate.
Option d is severe